A 6 year old child presented with recurrent URTI, mouth breathing and failure to grow. On examination he has high arched palate and impaired hearing. What is the management of choice in this child?
1. Myringotomy
2. Myringotomy with grommet insertion
3. Adenoidectomy with grommet insertion
4. Tonsillectomy

Correct answer: 3. Adenoidectomy with grommet insertion

Explanation: Child in the question is showing features of adenoid hyperplasia as indicated by mouth breathing, nasal obstruction and recurrent URTI. He has impaired hearing as a result of serous otitis media which occur as a complication of adenoid hyperplasia. So the treatment of choice is adenoidectomy with grommet insertion which will take care of both the adenoid as well as serous otitis media.